Which of the following is/are the side effects of using an argon laser?
1. Hypopigmentation
2. Crusting
3. Keloid formation
4. All of the above

Correct answer: 4. All of the above

Explanation: Argon Laser Wavelength 488-514 nm The penetration depth of 1mm, which can be increased by cooling Side effects: crusting and possible blistering of the skin, irreversible hypopigmentation, transient hyperpigmentation, punctate, atrophic or hypertrophic scars, keloid formation Reference : AK Khurana Comprehensive Ophthalmology, 6th edition, pg no. 461 - 462